In complete 3
rd 
Nerve palsy-a) Eye Deviated Mediallyb) Superior and inferior recti affectedc) Dilated pupild) Ptosise) Conversion/accommodation is lost
1. bce
2. bcde
3. abcd
4. acde

Correct answer: 2. bcde

Explanation: Abduction and some depression is spared, therefore the eye is deviated laterally and downward. All adduction, elevation and extorsion is lost, so patient cannot lookup or medially.